Use of tamoxifen in carcinoma of breast patients does not lead to the following side effects.
1. Thromboembolic events
2. Endometrial Carcinoma
3. Cataract
4. Cancer in opposite breast

Correct answer: 4. Cancer in opposite breast

Explanation: Ans. is 'd' i.e. Cancer in opposite breast Adverse effects of Tamoxifen: - Hot flushes, nausea vomiting (most common side effects)*Menstrual irregularities, vaginal bleeding, discharge, pruritus vulvae & dermatitisEndometrial cancerThromboembolismCataractsRetinal deposits & decreased visual acuityUses of Tamoxifen: -Estrogen receptor positive breast cancer: used in both pre and postmenopausal women.May slow the development of osteoporosis in postmenopausal women (due to its estrogenic effect)